The normal gain in length in a full term baby at first 6 months of life is
1. 6cms
2. 9 cms
3. 15 cms
4. 24 cms

Correct answer: 3. 15 cms

Explanation: At birth length : 50cms At 3 months : 60cms At 6 months: 65 cms At 1yr: 75 cms Hence gain in length in a full term baby at first 6 months of life is 15cms Ref: Ghai, 9th edition, Table 2.3